Blowout fracture is fracture of
1. Medial wall of Orbital cavity
2. Lateral wall of Orbital cavity
3. Inferior wall of Orbital cavity
4. Zygomaticotemporal joint

Correct answer: 3. Inferior wall of Orbital cavity

Explanation: As shown in the image,Blowout fracture is fracture of Inferior wall of Orbital cavity.